Ladder pattern of DNA electrophoresis is seen in
1. Necrosis
2. Apoptosis
3. Cytolysis
4. Karyorrhexis

Correct answer: 2. Apoptosis

Explanation: Ans. (b) Apoptosis(Ref: Robbins 9th/pg 53; R 9th/pg 29-30)DNA breakdown (Internucleosome cleavage by endonuclease into 200 bp oligonucleosomes is a characteristic)Q at specific sites can be detected by 'step ladder pattern' on gel electrophoresis or TUNEL (TdT mediated d-UTP Nick End Labelling) technique